An elderly man with prostatic hypertrophy returns to his urologist with another case of epididymitis. An acute infection involving the dartos muscle layer of the scrotum most likely leads to an enlargement of which of the following lymph nodes?
1. Preaortic nodes
2. Lumbar nodes
3. External iliac nodes
4. Superficial inguinal nodes

Correct answer: 4. Superficial inguinal nodes

Explanation: The superficial inguinal lymph nodes receive lymph from the scrotum, penis, buttocks, and lower part of the anal canal, and their efferent vessels enter primarily to the external iliac nodes and ultimately to the lumbar (aortic) nodes. The deep inguinal nodes receive lymph from the testis and upper parts of the vagina and anal canal, and their efferent vessels enter the external iliac nodes.